Treatment of solitary rectal ulcer are A/E:a) Laxativesb) Rectopexyc) Bandingd) Sclerosant injectione) Enema
1. cd
2. bc
3. bd
4. ac

Correct answer: 1. cd